Megaloblastic anaemia occurs due to deficiency of
1. Niacin
2. Vitamin C
3. Vitamin B1
4. Vitamin B12

Correct answer: 4. Vitamin B12